Isolation is strictly recommended for
1. Mumps
2. Measles
3. Hepatitis A
4. Pneumonic plague

Correct answer: 4. Pneumonic plague

Explanation: Isolation has a distinctive role in the control of some infectious diseases Diphtheria Cholera Streptococcal respiratory disease Pneumonic plague Ref: 25th edition, Park's Textbook of Preventive and Social Medicine, Page no. 132